Which of the following is true regarding Pneumothorax?
1. May occur in asthma patient
2. Pleuritic chest pain may be present
3. Decreased breath sounds
4. All the above

Correct answer: 4. All the above

Explanation: Spontaneous pneumothorax in most patients occurs from the rupture of blebs and bullae. Primary spontaneous pneumothorax (PSP) is typically observed in tall, young people without parenchymal lung disease and is thought to be related to increased shear forces in the apex. Secondary spontaneous pneumothoraces (SSP) occur in the presence of lung disease, primarily in the presence of COPD. Other diseases that may be present when SSPs occur include tuberculosis, sarcoidosis, cystic fibrosis, malignancy, and idiopathic pulmonary fibrosis. Chest tube drainage is the treatment of choice.